The regression between height and age follows y=a+bx. The curve is-
1. Hyperbola
2. Sigmoid
3. Straight line
4. Parabola

Correct answer: 3. Straight line

Explanation: Ref:Parks 23rd edition pg 853 y= a+bx : straight line. If we wish to know in an individual case, the value of one variable, knowing the value of the other we can calculate the regression coefficient of one measurement to another